Mastitis neonatorum in newborn is best treated with ___________
1. Oral erythromycin
2. Local fermentation
3. Evacuation by gentle massage
4. Conservative management

Correct answer: 4. Conservative management

Explanation: Mastitis neonatorum may be due to maternal hormones and it is physiological. It should be treated conservatively . Reference: GHAI Essential pediatrics, 8th edition